Young female with 3 days fever presents with headache, BP 90/60 mmHg, Heart rate of 114/min, and pin point spots developed distal to BP cuff. Most likely organism is:
1. Brucella abortus
2. Brucella suis
3. N. meningitidis
4. Staphylococcus aureus

Correct answer: 3. N. meningitidis

Explanation: Ans. is 'c' i.e., N. meningitidis (Ref: Harrison, 19th/e, p. 998)* The patient has low blood pressure, tachycardia (a state of shock) along with meningitis. Meningococcal meningitis is the most common meningitis complicated by shock.* Meningitis is the most common complication of meningococcemia. It usually begins suddenly with an intense headache, vomiting, and stiff neck and progresses to coma within a few hours.* The Glasgow Meningococcal Septicaemia Prognostic Score (GMSPS) is probably the best-performing scoring system studied so far and may be clinically useful for severity assessment in meningococcal disease.